Following are examples of human "dead end" disease except-
1. Bubonic plague
2. Japanese encephalitis
3. Hydatid disease
4. Leishmaniasis

Correct answer: 4. Leishmaniasis

Explanation: For successful parasitism, the infectious agent must find a way out of the body, known as PORTAL OF EXIT. If there is no portal of exit, the infection becomes a dead-end infection. Ex: Rabies, Bubonic plague, Tetanus, Trichinosis, etc. Ref: 25th edition, Park's Textbook of Preventive and Social Medicine, Page no. 107